In cholera the highest case fatality is observed in case of -
1. Classical cholera vibrio
2. Vibrio E I to r
3. Vibrio parahemolyticus
4. NAG vibrios

Correct answer: 1. Classical cholera vibrio

Explanation: Ans. is 'a' i.e., Classical cholera vibria . Amongst these four vibrios, classical V. cholerae causes the most severe diarrhea. Read the following statements. . "The mortality rate of cholera, without treatment is between 25-50%." . "The incidence of mild and asymptomatic infections is more with El Tor vibrios than with classical cholera vibrios." . "Most cases of v.parahaemolyticus - associated gastro intestinal illness, regardless of the presentation, are self limited and required neither antimicrobial treatment nor hospitalization." "Non-01 (NAG) strains of V cholerae cause mild, sometimes bloody diarrhea. Symptoms may occasionally be severe, in which case the disease resembles cholera".